Snow storm appearance is seen in
1. Ectopic pregnancy
2. Molar pregnancy
3. Incomplete abortion
4. Heterotopic pregnancy

Correct answer: 2. Molar pregnancy

Explanation: Molar pregnancy is an abnormal form of pregnancy in which non - viable fertilized egg implants in the uterus and will fill to come to term a molar pregnancy. It Is a gestational trophoblastic disease which grow into a mass in the uterus that has swollen villi on ultrasound mole resemble a bunch of grapes or snow - storm. There is increased trophoblast proliferation and enlarging of the chronic villi.